Bull's eye lesion is due to toxicity of:
1. Chloroquine
2. Ethambutol
3. Chlorpromazine
4. Dapsone

Correct answer: 1. Chloroquine

Explanation: Ans. A (Chloroquine) Causes of Bull's Eye MaculopathyChloroquineQToxicity of phenothiazineBardet-Biedl SyndromeInverse retinitis pigmentosaDystrophies:benign concentric annular macular dystrophyfenestrated sheem dystrophycone dystrophyStargardt diseaseBui is eye moculopath}' causes loss of cen trai vision as well as constriction of peripheral fields.The two main S/E of Chloroquine are - corneaI deposits & maculopathyQRetinal Toxicity of Systemic DrugsChloroquine/Hydroxv chloroquine: Bull's eye maculopathyQ.Thioridazine : pigmentary retinopathyChloropromazine : Pigment clumping of retinaNiacin : bilateral maculopathy that mimics cystoids macular edema.Tamoxifen : fine refractive intraretinal crystals as well as granular deposits at the level of the pigment epithelium.Deferoxamine : macular pigmentary irregularities